All of the following are important clinical manifestations of hepatocellular carcinoma except:
1. Jaundice
2. Abdominal pain
3. Abdominal mass
4. Ascitis

Correct answer: 1. Jaundice

Explanation: Answer is A (Jaundice): Jaundice is rare in hepatocellular carcinoma- Harrison Clinical manifestations of hepatocellular carcinoma: Abdominal pain and Abdominal mass - The most common presenting features are abdominal pain with detection of an abdominal mass I the right upper quadrant? Ascites - Blood tinged ascites occur in about 20% of cases - Harrison 16th/534 Friction rub or brui - A friction rub or brui may be over the liver Malaise, fatigue, weight loss Uncommon / inconstant features Jaundice - Jaundice is rare, unless significant deterioration of liver function or mechanical obstruction of bile duct occurs-Harrison 16th/534 Esophageal variceal bleeding - Gastrointestinal or esophageal variceal bleeding are inconstant findings - Robbins